NOT a feature of trachoma:
1. Corneal opacity
2. Chalazion
3. Entropion
4. Herbert's pits

Correct answer: 2. Chalazion

Explanation: Clinical features of trachoma - Lacrimation Photophobia Red eyes Hall mark - Sago grain follicles Herbert's pits seen Arlt's line on upper palpebral conjunctiva seen - sub conjunctival line of fibrosis Arlt's triangle seen in anterior uveitis - lower 1.3rd of the corneal endothelium where Keratic Precipitates settle due to the normal aqueous flow dynamics Pannus seen (nonspecific sign) Chalazion are not associated with trachoma- chronic inflammatory granuloma of the meibomian gland Seen in people with Oily skin Ocular rosacea